Chronic liver disease is caused by:
1. Hepatitis A
2. Hepatitis C
3. Hepatitis E
4. All of the above

Correct answer: 2. Hepatitis C

Explanation: Role of hepatitis C and B is implicated in chronic infection.